In the clinical evaluation, the most significant, finding of the parotid mass may be accompanying
1. Rapid progressive painless enlargement
2. Nodular consistency
3. Supramental and preauricular lymphadenopathy
4. Facial paralysis

Correct answer: 4. Facial paralysis